All of the following amino acids are converted to Succinyl CoA, except
1. Methionine
2. Isoleucine
3. Valine
4. Histidine

Correct answer: 4. Histidine

Explanation: Succinyl-CoA/propionyl-CoA producing aminoacids - VIMT (Valine, Isoleucine, Methionine & Threonine). Histidine produces glutamate FIGLU